In asymmetrical IUGR which organ is not affected -
1. Subcutaneous fat
2. Muscle
3. Liver
4. Brain

Correct answer: 4. Brain

Explanation: Ans. is 'd' i.e., Brain IUGR is classified as 1) Symmetric IUGR o Reduced growth is symmetric -4 head circumference, length and weight equally affected. o Has earlier onset. o Is associated with diseases that seriously affect fetal cell number, such as conditions with chromosomal, genetic malformation, teratogenic, infectious or severe maternal hypertensive etiologies. 2) Asymmetric IUGR o Reduced growth is asymmetric with relative sparing of head growth. o Has late onset. o Is associated with poor maternal nutrition or with late onset / exacerbation of maternal vascular disease (preeclampsia, chronic hypertension).